Absorbable material, Catgut is made from intestine of the following:
1. Cat
2. Human
3. Sheep
4. All of the above

Correct answer: 3. Sheep

Explanation: Sutures such as catgut are derived from sheep submucosa or beef serosa are digested by proteolytic enzymes in the wound. They are more rapidly degraded in the presence of infection. The knot-holding ability of plain gut is rather inconsistent; chromic gut seems to be better in this regard. Plain gut--Plain gut incites an intense inflammatory reaction in the wound and loses its tensile strength within 2 weeks. Chromic gut--Treatment of gut with chromium salts decreases its tissue reactivity and prolongs its survival to about double that of plain gut. In some studies, however, it has been shown to potentiate infection more than the plain gut. Synthetic absorbable sutures are, Polyglycolic acid (Dexon) Polyglactin (Vicryl) Polydioxanone (PDS) Ref: Jones T.R. (2011). Chapter 30. Wound Care. In R.L. Humphries, C. Stone (Eds), CURRENT Diagnosis & Treatment Emergency Medicine, 7e.